Maxillary nerve pass through which foramen?
1. Foramen spinosum
2. Foramen rotundum
3. Foramen lacerum
4. Foramen ovale

Correct answer: 2. Foramen rotundum

Explanation: Maxillary nerve passes through foramen rotundum